Which of the following is a weak bond -
1. Covalent bond
2. Peptide bond
3. Disulphide bond
4. Hydrophobic interactions

Correct answer: 4. Hydrophobic interactions

Explanation: Ans. is 'd' i.e., Hydrophobic interactions o Strongest bond - Covalento Weakest bond - Van der walls forcesMoleucular interactionso There are two types of interactions between molecules that stabilize molecular structures :-i) Covalent bonds, e.g. peptide bonds and disulphide bonds, ii)ii) Non-covalent bonds.Molecular interaction|| |Non-covalent bonds# Electrostatic interactions (salt bridges or ionic bonds)# Hydrogen bonds# Hydrophobic interactions# Van Der Waal forcesCovalent bondsStrength of various interactions (in decreasing order)Covalent (strongest) > Electrostatic (ionic or salt linkage) > hydrogen > hydrophobic > Van der waal's (weakest)